Intersitial myomas predispose to menorrhagia by:
1. Inhibiting uterine contractility
2. Degeneration
3. Erosion of endometrial mucosa
4. Mechanism not known

Correct answer: 1. Inhibiting uterine contractility

Explanation: Inhibiting uterine contractility